The second heart sound is caused by
1. Closure of the aortic and pulmonary valves.
2. Vibrations in the ventricular wall during systole.
3. Ventricular filling.
4. Closure of the mitral and tricuspid valves.

Correct answer: 1. Closure of the aortic and pulmonary valves.

Explanation: The second is a shorter, high-pitched “dup” (second sound), caused by vibrations associated with closure of the aortic and pulmonary valves just after the end of ventricular systole.